The commonest site of obstruction in Gall stone ileus is -
1. Proximal ileum
2. Distal ileum
3. Ileocecal junction
4. Transverse colon

Correct answer: 2. Distal ileum

Explanation: Ans. is 'b' i.e., Distal ileum